The first clinical presentation of acoustic neuroma is feature of ____________
1. Brainstem involvement
2. Cerebellar involvement
3. Facial nerve involvement
4. Cochleovestibular symptoms

Correct answer: 4. Cochleovestibular symptoms

Explanation: The earliest symptoms of acoustic neuromas include ipsilateral sensorineural hearing loss/deafness, disturbed sense of balance and altered gait, vertigo with associated nausea and vomiting, and pressure in the ear, all of which can be attributed to the disruption of normal vestibulocochlear nerve function. Additionally more than 80% of patients have reported tinnitus.